The nerve impulse which leads to initiation of muscle contraction ?
1. Causes opening of the calcium channels which leads to increase in calcium ion concentration with use of sarcomere
2. Causes both the plasma membrane and the T tubules to undergo hyperpolarization
3. Inhibits Sodium entry in sarcomere
4. Is inhibited by binding of acetylcholine to receptors in the sarcoplasmic reticulum

Correct answer: 1. Causes opening of the calcium channels which leads to increase in calcium ion concentration with use of sarcomere